True about laryngeal mask airway is – a) Can be used in full stomach patientsb) Used as alternative to ET intubationc) Provides full protection from aspirationd) Difficult airway is an indication for use
1. c
2. d
3. bd
4. ac

Correct answer: 3. bd

Explanation: LMA is indicated as an alternative to intubation in difficult airway.
LMA does not always prevent aspiration, therefore it is not indicated in full stomach patients.